Life cycle of RBC is:
1. 12 days
2. 90 days
3. 120 days
4. One month

Correct answer: 3. 120 days